Antidote of digoxin:
1. Potassium
2. Lignocaine
3. Fab fragment
4. Propranalol

Correct answer: 3. Fab fragment

Explanation: Ans: c (Fab) Ref: Katzung, 10th ed, p. 205In severe digitalis intoxication patients are best treated with prompt insertion of a temporary cardiac pacemaker catheter and administration of digitalis antibodies (digoxin immune fab).These antibodies recognize digitoxin and cardiac glycosides from many other plants in addition to digoxin. They are extremely useful in reversing severe intoxication with most glycosides.